Keratocyst has all of the following features except:
1. It is more common in mandible
2. May be filled with thin straw coloured fluid
3. Low recurrence rate
4. Expansion of bone clinically seen

Correct answer: 3. Low recurrence rate